Which of the following is a characteristic feature of Borderline leprosy?
1. Inverted saucer appearance
2. Erythema Nodosum Leprosum
3. Presence of hypopigmented plaques all over the body
4. Glove and Stocking sensory symptoms

Correct answer: 1. Inverted saucer appearance

Explanation: In boderline leprosy, lesions are characteristically erythematous, raised plaques with central clearing and sloping edge (inverted saucer appearence). Lesions are multiple, hypoaesthetic and are distributed asymmetrically. Patients also develop asymmetrically thickened several nerves and is Type 1 leprae reaction positive. Ref: Illustrated Synopsis of Dermatology and Sexually Transmitted Diseases By Neena Khanna 2ND edn page 225.